In rectal cancer, the distal clearance margin should be at least
1. 2 cm
2. 3cm
3. 4 cm
4. 5 cm

Correct answer: 1. 2 cm

Explanation: Tumor margin for curative resection IN GI malignancies (Stomach, small intestine, colon and proximal rectum), tumor margin for curative excision is 5 cm except Esophagus : 10 cm Distal rectum : 2 cm Ref: Sabiston 20th edition Pgno : 1378